According to ADA specification #1 for amalgam, what is the acceptable dimensional change?
1. -20 to +20 micron/cm
2. -10 to +10 micron/cm
3. -20 to +10 micron/cm
4. -10 to +20 micron/cm

Correct answer: 1. -20 to +20 micron/cm

Explanation: According to ADA specification #1 for amalgam, the acceptable dimensional change is -20 to +20 micron/cm.
Reference: Marzouk Operative dentistry, pg-108